In hilly and tribal areas 1 PHC is for:
1. 20,000
2. 30,000
3. 10,000
4. 80,000

Correct answer: 1. 20,000

Explanation: Ans: a (20,000) Ref: Park, 19th ed, p. 752Population covered by various levelsa) Sub centre: 5000 in general, 3000 in hilly, tribal and backward areas (One male and one female health worker)b) Primary Health Centre: 30,000 in general, 20,000 in hilly, tribal areasc) Community Heath Centre: 80,000 to 1.2 lakhsd) Anganwadi worker, Village health guide Accredited social health activist (ASHA): 1000Functions of PHC include:1. Medical care2. MCH including family planning3. Safe water supply and basic sanitation4. Prevention and control of locally endemic diseases5. Collection and reporting of vital statistics6. Education about health7. National health programmes8. Referral services9. Training of health guides, health workers, local dais and health assistants10. Basic laboratory services